Anti cancer drug causing nephrotoxicity -
1. Cyclophosphamide
2. Busulfan
3. Cisplatin
4. Procarbazine

Correct answer: 3. Cisplatin

Explanation: Ans. is 'c' i.e., Cisplatin Platinum compoundo These are alkylating agents and act by similar mechanism,o Drugs are -First generation-CisplatinSecond generation-CarboplatinThird generation-OxaliplatinSide effects of Cisplatino Vomitingo Ototoxicityo Hyperuricemiao Nephrotoxicityo Neuropathy Note-o Cisplatin is most nephrotoxic where as carboplatin is more hematotoxic (bone marrow suppression),o Carboplatin has less nephrotoxic, neurotoxic and ototoxic effects,o Dose limiting toxicity of oxaliplatin is neurotoxicity (Peripheral neuropathy).